All can be manifestations of polycystic kidney except?
1. Urine retention
2. Renal hypertension
3. Renal failure
4. Hematuria

Correct answer: 1. Urine retention

Explanation: Clinical features of ADPKD Hypertension is common and often precedes renal dysfunction- | activity of the renin-angiotensin system. There is only mild proteinuria, and impaired urinary concentrating ability manifests early as polyuria and nocturia. Gross hematuria may result from cyst rupture into the collecting system or from uric acid or calcium oxalate kidney stones. Nephrolithiasis occurs in about 20% of patients. Urinary tract infection, including acute pyelonephritis, occurs with increased frequency in ADPKD